Physiological antagonism is found in: 
a) Isoprenaline and salbutamol
b) Isoprenaline and adrenaline
c) Isoprenaline and propranolol
d) Adrenaline and histamine
e) Salbutamol and leukotrienes
1. ab
2. cd
3. ac
4. de

Correct answer: 4. de

Explanation: Physiological antagonists are those drugs that produce opposite action by acting on different receptors.
Adrenaline reverses the bronchoconstrictor action of histamine (via. H1 receptors) by cauing bronchodilation (through β2 receptors). Therefore, these are physioIogical antagonists.